Which of the following drugs is used for narcoanalysis -
1. Atropine
2. Phenobarbitone
3. Scopolamine
4. Pethidine

Correct answer: 3. Scopolamine

Explanation: Scopolamine is used as truth serum. Drugs commonly used in narcoanalysis are 1. Thiopentone sodium (Sodium pentothal) 2. Scopolamine hydrobromide 3. Sodium secnol 4. Benzodiazepines REF;THE SYNOPSIS OF FORENSIC MEDICINE:KS NARAYANA REDDY;28th EDITION